Brenner tumor is a type of -
1. Epithelial tumors
2. Sex cord stromal tumors
3. Germ cell tumors
4. Non of the above

Correct answer: 1. Epithelial tumors

Explanation: Ans. is 'a' i.e., Epithelial tumors o Primary ovarian tumors are further divided into three typesi) Surface epithelial tumorsii) Germ cell tumorsiii) Sex cord stromal tumorsSurface epithelial tumorsGerm cell tumorsSex cord stromal tumorso Serous tumoro Teratomao Thecomao Mucinous tumoro Dysgerminomao Fibromao Endometrial tumoro Endodermal sinus tumoro Granulosa-theca cell tumoro Clear cell tumoro Choriocarcinomao Sertoli-leydig cell tumoro Brenner tumor o Hilus cell tumorso Cysadenofibroma o Most ovarian tumors (65-70%) are surface epithelial tumors, most common being serous tumors (serous cystadenoma and cystadenocarcinoma).